Virus causing hemorrhagic conjunctivitis is -
1. Coxsakie A24
2. Poxvirus
3. Measels
4. Mumps

Correct answer: 1. Coxsakie A24

Explanation: Ans. is 'a' i.e., Coxsakie A24 o Repeat from previous sessions.